Inner ear bony labyrinth is:
1. Strongest bone in the body
2. Cancellous bone
3. Cartilaginous bone
4. Membranous bone

Correct answer: 3. Cartilaginous bone

Explanation: Bony labyrinth is an example of cartilaginous bone (i.e. a bone which ossification cartilage).